A 39-year old carpenter has taken two bottles of liquor from the local shop. After about an hour he develops confusion, vomiting and blurring of vision. He has been brought to the emergency out patient. He should be given:
1. Naloxone
2. Diazepam
3. Flumazenil
4. Ethyl alcohol

Correct answer: 4. Ethyl alcohol

Explanation: This is a case of methanol or methyl alcohol poisoning. Hence the antidote is ethanol. Ref: The Essentials of Forensic Medicine & Toxicology By K S Narayan Reddy, 27th Edition, Pages 513, 525